All are cavitating lesions in the lungs, except?
1. Caplan's syndrome
2. Hamartoma
3. Wegner's granuloma
4. Squamous cell carcinoma

Correct answer: 2. Hamartoma

Explanation: Answer is B (Hamartoma): Hamartomas produce non cavitating popcorn calcifications. Malignant lesions (squamous cell carcinoma) and granulomatous lesions (Wegener's granulomatosis, Caplan's syndrome) are established causes of cavitatory lesions.